Dimension of HDI which is measured to check good standard of living ?
1. Income
2. Knowledge
3. Lingevity
4. Housing

Correct answer: 1. Income

Explanation: Ans. is 'a' i.e., Income HDI is a composite index combining indicators representing three dimensions ? Longevity (life expectancy at birth) Knowledge (Adult literacy rate and mean years of schooling, i.e. Gross enrolement ratio) Income (real GDP per capita in purchasing power parity in US dollars) Among these three, income is included in standard of living. Standard of living It refers to the usual scale of our expenditure, goods we consume and services we enjoy. It includes :? Income & occupation Standards of housing, sanitation & nutrition Level of provision of health, educational, recreational and other services. Standard of living depends on per capita GNP